Progesterone is associated with the following except
1. Ovulation
2. Proliferative phase of menstrual cycle
3. Thermogenesis
4. Secretory phase of menstrual cycle

Correct answer: 2. Proliferative phase of menstrual cycle

Explanation: Progesterone is a thermogenic hormoneProgesterone levels rise precipitously after ovulation and can be used as a presumptive sign that ovulation has occurredWithin 48 to 72 hours following ovulation, the onset of progesterone secretion produces a shift in histologic appearance of the endometrium to the secretory phase, so named for the clear presence of eosinophilic protein-rich secretory products in the glandular lumen. In contrast to the proliferative phase, the secretory phase of the menstrual cycle is characterized by the cellular effects of progesterone in addition toestrogen.Ref: Berek and Novak Gynecology; 14th edition; Chapter 7; Reproductive physiology